10% of total deaths in a city is due to accidents. There are 500 total deaths reported. What is true?
1. 10% is case fatality rate
2. Out of total deaths 50 are due to accidents
3. Both of these
4. None of these

Correct answer: 2. Out of total deaths 50 are due to accidents

Explanation: Proportional Mortality Rate (TB) = No. of death due to TB / Total No. of deathsIndicate Burden of a disease in terms of mortality.Most common cause of death is given by PMR.Ex - 10% of total deaths are due to accidents. So out of 500 deaths, 50 are due to accidents